Wernicke-korsakoff syndrome is due to the deficiency of which of the following -
1. Pyridoxine
2. Thiamine
3. Vitamine B12
4. Riboflavin

Correct answer: 2. Thiamine